All are true about Mammography EXCEPT:
1. Uses low energy X rays
2. Screening and diagnostic tool
3. High positive predictive value
4. Specificity of mammography is 90%

Correct answer: 3. High positive predictive value

Explanation: High positive predictive value REF: Atlas of mammography By Ellen Shaw De Paredes page 501 canceopics/pdq/screening/breast/healthprofessional/page6 Mammography is the process of using low-energy-X-rays (usually around 30 kVp) to examine the human breast and is used as a diagnostic and a screening tool. Mammography has a false-negative (missed cancer) rate of at least 10 percent Specificity of mammography is 90 percent The positive predictive value (PPV) of an abnormal screening mammogram in this population was 6.3% for women aged 40 to 49 years, 6.6% for women aged 50 to 59 years, and 7.8% for women aged 60 to 69 years"